Fungal infection of human beings is called as:
1. Mucorsis
2. Mycosis
3. Fungosis
4. Micromia

Correct answer: 2. Mycosis

Explanation: Mycosis is a fungal infection of animals, including humans. 
Mycoses are common and a variety of environmental and physiological conditions can contribute to the development of fungal diseases.